Poly cystic ovarian syndrome is characterized by all EXCEPT:
1. Hyper androgenaemia
2. Normal or raised oestrogen
3. Raised LH
4. Normal FSH/LH ratio

Correct answer: 4. Normal FSH/LH ratio

Explanation: (Normal FSH/LH Ratio) (353-Shaw's 13th)(306-H17th) (331-S14th)POLYCYSTIC OVARIAN SYNDROME (PCOS) or stein-Leventhalsyndrome* Chronic non-involution* Hyperandrogenaemia (raised testosterone antrostenedione DHEA)* Normal or raised oestrogen (E2)* RiasedLH* Low FSH (LH ratio)* Hyperstimulation syndrome is also common in PCOS